Which of the following disease cause modification of finger prints?
1. Leprosy
2. HIV
3. Hypertension
4. Acromegaly

Correct answer: 1. Leprosy

Explanation: Leprosy can modify finger prints. Electrical injury and radiation can also modify finger prints. In criminal cases impression of all 10 fingers are taken but in civil cases left thumb impression is taken in case of males and right thumb impression in case of females. Dactylography or finger print system consist of taking the impression of the pulp of the fingers and thumb with printers ink on an unglazed white paper. The fingerprints of even identical twins are different. The chances of two persons having identical finger prints is about one in thirty times the population of the world. Ref: Concise Textbook Of Forensic Medicine & Toxicology By Sharma, page 19.